Following antibiotics are safe to treat UTI in pregnancy:a) Aminoglycosidesb) Penicillinc) Cotrmoxazoled) Ciprofloxacine) Cephalosporins
1. ab
2. ad
3. be
4. ce

Correct answer: 3. be

Explanation: Principles for management of UTI during pregnancy:

Single dose therapy is preferred
The antimicrobial agent should be appropriate to the mother and fetus, any one of the following drugs could be prescribed:

– Ampicillin
– Nitrofurantoin – DOC for prophylaxis of recurrent UTI in pregnancy
– Cephalexin Cephalosporin
– Amoxicillin clavulanic acid combination.

Sulfonamides should not be given in the third trimester because they may interfere with bilirubin binding and thus impose a risk of neonatal hyperbilirubinemia and kernicterus.
Fluoroquinolones are also contraindicated because of their potential teratogenic effects on fetal cartilage and bone.
Tetracyclines, cotrimoxazole and ciprofloxacin are: contraindicated during pregnancy.